Hysteroscopv can be used to visualize -
1. Misplaced IUCD
2. Submucosal fibroid
3. Uterine synechiae
4. All the above

Correct answer: 4. All the above

Explanation: Ans. is 'd' i.e., All the aboveo Hysteroscopy is the endoscopic technique of visualizing the interior of uterus directly.o It is both diagnostic and therapeutic.A hvsteroscope can visualize the interior of uterus so. it can diaenoseo Any congenital malformation of uterus and can also help in differentiating between a bicornuate uterus from a septate uterus.o Any uterine synechiae (as in Ashermann syndrome).o Misplaced IUCD.o Submucous fibroid.A hvsteroscope can visualize the cornua so. it can diagnoseo Any cornual pathology:-Hvsteroscope can directly visualize the endometrium so. it can diaenoseo Endometrial lesions like-endometrial polyp, endometrial hyperplasia, endometrial cancer, endometrial T.B.o Pregnancy related conditions like : Molar tissue or products of conception.Also knowo Most common distension media used in diagnostic hysteroscopy - CO2o Most common distension media used in therapeutic - Glycine hysteroscopy